Non-septate hyphae with a tendency to branch at 90 degree angle is characteristic of:
1. Mucormycosis
2. Aspergillosis
3. Cryptococcus neoformans
4. Coccidioides immitis

Correct answer: 1. Mucormycosis

Explanation: The organisms appear as large, nonseptate hyphae with branching at obtuse angles. Round or ovoid sporangia are also frequently seen in the tissue section.
Histopathologically, mucormycosis should be differentiated from aspergillosis in which the former has an acute angulating branched hyphae of smaller width and latter has septate branched hyphae.
Reference: Shafer’s Textbook of ORAL PATHOLOGY Eighth Edition page no 349